Pancreatic secretions are a rich source of
1. Phospholipase A1
2. Phospholipase A2
3. Phospholipase C
4. Phospholipase D

Correct answer: 2. Phospholipase A2

Explanation: Phospholipase A2 (PLA2) is elevated in cases of acute pancreatitis. Pancreatic sPLA2 serve for the initial digestion of phospholipid compounds in dietary fat. Ref: Biochemistry by U. Satyanarayana 3rd edition Pgno : 174